Regarding ethmoidal polyp, which one of the following is true -
1. Epistaxis
2. Unilateral
3. < 10 years
4. Associated with bronchial asthma

Correct answer: 4. Associated with bronchial asthma

Explanation: Ethmoidals polyp are multiple and bilateral, and often allergic in origin, therefore may be associated with asthma. They occur mostly in adults.
Epistaxis in not a clinical feature.